A 55yers old male has sudden onset of thunder clap headache following by loss of consiusness for 4 hour investigation is
1. Non contrast ct followed by angiogram
2. PET
3. MRI angiogram
4. Contrast enhanced CT

Correct answer: 1. Non contrast ct followed by angiogram

Explanation: (A) (MRI angiogram) (128- H 18th) (Brad- Lee Neurology 5th)Primary thunderclap headache* Sudden onset of severe headache may occur in the absence of any known provocation* D/D-(i) Sentinel bleed of an intracranial aneurysm(ii) Cervicocephalic arterial dissection(iii) Cerebral venous thrombosis(iv) Sympathomimetic drugs or tyramine containing foods in patients who is taking MAO is or they may be a symptom of pheochromocytoma.* First presentation of any sudden onset severe headache should be vigoruously investigated with neuroimaging (CT or when possible MRI with MR angiography) and CSF examination* Nimodipine may be helpful. Although by definition the vasoconstriction of primary thunder clap headache resolves spontaneously.Red flag svmptons in headache (1157- Dividson 22nd)SymptomsPossible explanationSudden onset (Maximal immediately or with in minutes)- Subarachnoid haemorrhage- CCA- Pituitary apoplexy- MeningitisFocal neurological symptoms (other than for typically migrainous)Intracranial mass lesionsVascularNeoplasticInfectionsConstitutional symptoms* Weight loss* General malaise* Pyrexia* Meningism* Rash* Meningoencephalitis* Neoplastic (lymphoma or metastasis) Inflammatory (vasculitic)Raised intracranial pressure (worse on wakening/lying down, associated Vomiting)Intracranial mass lesionsNew onset aged > 60 yearsTemporal arteritis* Thunderclap headache is an acute and servre headache that is maximum in intensity at onset and has been likened to a clap thunder.* The term TCH was initially used by Day and Raskin in reference to the pain associated with an unruptured intracranial aneurysm.* However, multiple cause of thunderclap headache have since been described"subarachnoid hemorrhage is the most common cause of thunderclapQ".Primary Thunder Clap headache* Primary TCH is diagnosed when all other potential underlying cause have been eliminated by diagnostic testing* Primary TCH's can recur intermittently and are generally associated with benign outcomeThe international Headache society's diagnostic criteria for primary TCHA. Severe headpain fulfilling criteria B and CB. Both of the following characteristics- Sudden onset,- Reaching maximum intensity in < 1 min lasting form 1 hour to 10 daysC. Does not recur regularly over subsequent weeks or months.D. Not attributed to another disorder (normal cerebrospinal fluid and normal brain imaging are needed)Secondary causes of Thunderclap headache- Subarachnoid hemorrhage0- Sentinel headache- Cerebral venous sinus thrombosis0- Cervical artery dissection- Spontaneous intracranial hypotension- Pituitary apoplexy0- Retroclival hematoma- Ischaemic stroke- Acute hypertensive crisis- Reversible cerebral vasoconstriction syndrome- Third ventricle colloid cyst- Intracranial infection- Priamary thunderclap headache- Primary cough, sexual and exertional headache